First line investigation for esophageal carcinoma is:
1. X-ray
2. Barium meal
3. Endoscopy
4. 24 hours pH measurement

Correct answer: 3. Endoscopy

Explanation: Ans. C i.e. Endoscopy